The most sensitive test for diagnosis of myasthenia gravis is
1. Tensilon test
2. Single Fiber Electro-myography
3. Repetitive Nerve Stimulation test
4. Elevated ACH receptor antibodies

Correct answer: 2. Single Fiber Electro-myography

Explanation: Electromyography is most sensitive test for diagnosing myasthenia gravis